All of the following are true about Alcoholic hallucinosis except
1. Seen after 12 - 24 hours of alcohol cessation
2. Auditory hallucinations are commonly seen
3. Disturbance of consciousness is present
4. All are true

Correct answer: 3. Disturbance of consciousness is present

Explanation: Disturbance of consciousness like irrelevant talking is seen in Delirium tremens, not alcoholic hallucinosis.